A boy draws triangle but not diamond shape age is ?
1. 3 years
2. 4 years
3. 5 years
4. 6 years

Correct answer: 3. 5 years